During incision and drainage of ischiorectal abscess, which nerve is affected
1. Superior rectal nerve
2. Inferior rectal nerve
3. Inferior gluteal nerve
4. Ilioinguinal nerve

Correct answer: 2. Inferior rectal nerve

Explanation: Contents of ischiorectal fossa

Fat
Pudendal canal and its contents
Inferior rectal nerve and vessels.